Main abnormality in beta-thalassemia minor is:
1. Increased HbA2
2. Severely increased
3. HbFSevere anemia
4. All of the above

Correct answer: 1. Increased HbA2

Explanation: Ans. A: Increased HbA2Haemoglobin electrophoresis in beta-thalassemia minor usually reveals an increase in HbA2 (alpha2, gamma2) to 4-8% of the total hemoglobin (normal 2.5%)